Regard to the use of laser in gynecology , all are true except
1. Management of CIN, VIN, VAIN
2. Laser laparoscopy for ectopic pregnancy
3. Laser hysteroscopy for presacral neurectomy
4. It acts by tissue cutting, vapourization or coagulation

Correct answer: 3. Laser hysteroscopy for presacral neurectomy

Explanation: Indications of Laser CIN VIN VAIN Conisation of cervix Vaporization of endometriosis Laser laparoscopy for ovarian cystectomy,adhesiolysis,removal of ectopic pregnancy,presacrel neurectomy Laser laparoscopic assisted hysteroscopy for dividing large pedicles that have been coagulated or suture ligated Laser ablation of endometrium,resection of uterine septum,submucous fibroids D.C.DUTTA'S TEXTBOOK OF GYNAECOLOGY,Pg no:123,6th edition